Nabothian follicles occur in :
1. Erosion of cervix
2. Ca endometrium
3. Ca cervix
4. Ca vagina

Correct answer: 1. Erosion of cervix

Explanation: Ans. is a i.e. Erosion of cervix As a result of healing of an erosion, the mouth of cervical gland is blocked. The blocked gland becomes distended with secretion and forms small cysts which can be seen with naked eye and so called Nabothian cyst. The presence of cysts farthest from the external os indicates the extent of transformation zone. The lining epithelium is columnar. Treatment is directed towards chronic cervicitis.